A special feature of the periodontal ligament fibroblasts is
1. The number of organelles
2. Presence of actin fibres and shape change
3. Size of the cells
4. Collagen fibre formation

Correct answer: 2. Presence of actin fibres and shape change